Single furcation canal is seen in what percentage of mandibular molars
1. 13%
2. 10%
3. 23%
4. All of the above

Correct answer: 1. 13%

Explanation: There are three patterns for accessory canals in mandibular molars

Single accessory canal arises from coronal 1/3rd = 23%
Single furcation canal: 13%
Both accessory canal and Furcation canals : 10% of cases